All of the following are vitamin K dependent coagulation factors except:
1. Factor X
2. Factor VII
3. Factor II
4. Factor VIII

Correct answer: 4. Factor VIII

Explanation: Clotting factors II, VII, IX and X are vitamin K dependent factors.
Six of the proteins involved in clotting require conversion of a number of glutamic acid residues to γ-carboxyglutamic acid residues before being released into the circulation, and hence all six are vitamin K-dependent. These proteins are factors II (prothrombin), VII, IX, and X, protein C and protein S.
Coumarin derivatives such as dicumarol and warfarin are also effective anticoagulants. They inhibit the action of vitamin K, which is a necessary cofactor for the enzyme that catalyzes the conversion of glutamic acid residues to γ-carboxyglutamic acid residues. 
Reference: Ganong’s Review of Medical Physiology TWENTY - FIFTH  EDITION page no 566,567